Nocardia resemble actinomyces morphological but-
1. Are anaerobic
2. Are faculative anaerobic
3. Are aerobic
4. Require CO, for growth

Correct answer: 3. Are aerobic

Explanation: Ans. is 'c' i.e., Are aerobic